Bitter almond odour is percieved in poisoning with ?
1. Cobalt
2. Arsenic
3. Cyanide
4. Lead

Correct answer: 3. Cyanide

Explanation: Ans. is 'c' i.e., Cyanide Odors associated with poisonings Garlik like : Phosphorus, arsenic, zinc phosphide, aluminium phosphide (celphos), arsine gas, tellurium, parathion, malathion, arsenic. Rotten eggs : Hydrogen sulphide, mercaptans, disulphiram. Fishy or musty : Zinc phosphide. Bitter almonds : Cyanide, HCN Acrid : Paraldehyde, chloral hydrate. Burnt rope : Cannabis. Kerosene like : Kerosene and organophosphates. Phenolic smell : Carbolic acid.